The thinnest epithelium of oral cavity is found in the:
1. Buccal gingiva
2. Lingual gingiva
3. Oral surface of lip
4. Sublingual mucosa (floor of mouth)

Correct answer: 4. Sublingual mucosa (floor of mouth)